Best antagonist of morphine is –
1. Nalorphine
2. Naloxone
3. Buprenorphine
4. Pentazocine

Correct answer: 2. Naloxone

Explanation: Naloxone is the preferred specific antidote for morphine poisoning.